Surgery for fissure in ano is
1. Seton’s procedure
2. Lateral spincterectomy
3. Well’s procedure
4. Winter’s procedure

Correct answer: 2. Lateral spincterectomy

Explanation: Lateral spincterectomy is done for pts of fissure in ano whom medical treatment fails.